Parachute reflex disappears _____
1. at 3 months
2. at 6 months
3. at birth and reappears at 9 months
4. Never

Correct answer: 4. Never

Explanation: The parachute reflex occurs at 7-8 months of age and remains throughout life. It can be evoked by holding the infant's trunk and then suddenly lowering the infant as if he or she were falling. The arms will spontaneously extend to break the infant's fall. This reflex is a prerequisite to walking. Ref: Nelson textbook of pediatrics 21st edition Pgno: 3059